The mutation associated with X linked Alport Syndrome is:
1. COL4A1
2. COL4A3
3. COL4A4
4. COL4A5

Correct answer: 4. COL4A5

Explanation: Alport Syndrome (AS) AS, X-linked- COL4A5 AS, autosomal recessive - COL4A3 and COL4A4 AS, autosomal dominant - COL4A3 and COL4A4 Benign familial hematuria - COL4A3 and COL4A4 AS with diffuse leiomyomatosis- COL4A5 and COL4A6 Ref: Dan Med Bull 2009; 56:105-52